A boy is having diarrhea, rhinorrhoea, sweating & lacrimation. What is the most probable diagnosis:
1. Cocaine withdrawal
2. Heroin withdrawal
3. Alcohol withdrawal
4. LSD withdrawal

Correct answer: 2. Heroin withdrawal

Explanation: B i.e. Heroin withdrawal